An area of rarefaction  in the lower premolar area indicates
1. definite pathology.
2. torus  mandibularis.
3. possible mental foramen.
4. root fracture.

Correct answer: 3. possible mental foramen.